Which is not given at the time of birth ?
1. OPV
2. BCC
3. Hepatitis B
4. HiB

Correct answer: 4. HiB